Which of the following antibodies is most frequently seen in Antiphospholipid Syndrome ? -
1. Beta 2 microglobulin antibody
2. Anti-nuclear antibody
3. Anti-centromere antibody
4. Anti- beta 2 glycoprotein antibody

Correct answer: 4. Anti- beta 2 glycoprotein antibody

Explanation: Antiphospholipid antibody syndrome has clinical manifestations including recurrent thrombosis, repeated miscarriages, cardiac valve vegetations and thrombocytopenia. Suspected Ab target include Beta 2 Glycoprotein 1, a plasma protein that associates with the surfaces of endothelial cells and trophoblasts. Anti nuclear antibody and beta 2microglobulin Ab seen in SLE. Reference : Robbins and Cotran Pathologic basis of disease.South Asia Edition -9;volume 1.page no. 124